Drug of choice for bleeding oesophageal varices is:
1. Ethanolamine oleate
2. Octreotide
3. Propranolol
4. Phytonadione

Correct answer: 2. Octreotide